An AIDS patient presents with fistula - in- ano. His CD4 count is below 50. What is the treatment of choice -
1. Seton
2. Fistulectomy
3. None
4. Both

Correct answer: 1. Seton

Explanation: Ans. is 'a' i.e., Seton